Tweed's triangle denotes:
1. The position of maxilla and mandible to each other
2. The angle between the mandibular plane and mandibular incisors
3. Relationship between maxillary central and mandibular central incisor
4. Profile of an individual

Correct answer: 2. The angle between the mandibular plane and mandibular incisors